A case of 12 years old boy presents to you with boggy swelling and easily pluckable hair. What would be the probable diagnosis:
1. Lichen planus
2. Tinea capitis
3. Epidermophytosis
4. Alopecia areata

Correct answer: 2. Tinea capitis

Explanation: Ans: (b) Tinea capitisRef: Roxburg 17th ed. / 41*Tenia capititis is most commonly caused by Microsporum canis.*Second MCC of tenia capitis is trichophyton tonsurans.*It is never caused by epidermophyton as it does not involve hair.*It presents with localized non-cicatricial alopecia, itching, scaling with or without boggy swelling of scalp & easily pluckable hair.*Tenia capitis is diagnosed by potassium hydroxide (KOH) wet mounts of hair & scale.*Treatment: Griseofulvin is DOC